During Pomeroy's method of female sterilization, which portion of the tube is ligated?
1. Isthmus
2. Ampullary
3. Isthmo-ampullary
4. Cornual

Correct answer: 3. Isthmo-ampullary